Most severe form of hereditary spherocytosis is caused by the mutation of -
1. Ankyrin
2. Alpha spectrin
3. Beta spectrin
4. Band 3

Correct answer: 2. Alpha spectrin

Explanation: . Alpha spectrin